Gluten sensitivity is associated with?
1. Celiac disease
2. Tropicalsprue
3. Ulcerative colitis
4. Irritable bowel syndrome

Correct answer: 1. Celiac disease

Explanation: Ans. is 'a' i.e., Celiac disease o Celiac disease is a chronic malabsorption syndrome due to intestinal hypersensitivity to gliadin, component of gluten in wheat, oat, barely and rye.o Strongest association of coeliac disease is seen with HLA-DQ2 followed by H2A-DQ8. Other HLA types (B8, DR3 and DR7) have also been associatedo Coeliac disease may be associated with dermatitis herpetiformis.